Not true of Gall stones
1. Biliary fistula is a complication gall stone
2. More common in female
3. Clofibrate therapy is a predisposing factor
4. Ileal resection has no effect on gall stone formation

Correct answer: 4. Ileal resection has no effect on gall stone formation

Explanation: Ans. (d) Ileal resection has no effect on gall stone formationRef: Sabiston 20th edition Page 1492 Gall stones:* Cholesterol stones are common in Ileal resection and in cases of Crohn's disease due to decreased Entero hepatic circulation and decreased Bile salts.